Foaming liver is seen in -
1. Organophosphorus Poisoning
2. Actinomycosis
3. Gas gangrene
4. Anthrax

Correct answer: 3. Gas gangrene